Gamma rays are used for sterilization of:
1. Catheters
2. Canulas
3. Syringes
4. All of the above

Correct answer: 4. All of the above

Explanation: Ans. (d) All of the aboveRef : K. Park 23rd ed. /127-128* Gamma radiation is used for sterilizing plastics, syringes, swabs, culture plates, catheter, rubber, oils, greases and metal foils.